The secondary tympanic membrane is present over
1. Round window
2. Oval window
3. Lateral wall of middle ear
4. Scala media

Correct answer: 1. Round window

Explanation: Round window (present on the medial wall of the middle ear) is covered by the secondary tympanic membrane.Other structures present on the medial wall of the middle ear are:1.Promontory 2.Bony lateral semicircular canal 3.Oval window and 4.Facial nerve canalRef: Hazarika; 3rd ed; Pg 16